The structural proteins are involved in maintaining the shape of a cell or in the formation of matrices in the body. The shape of these proteins is:
1. Globular
2. Fibrous
3. Stretch of beads
4. Planar

Correct answer: 2. Fibrous

Explanation: B i.e. Fibrous proteins